Epidermoids can be differentiated from arachnoid cyst on MRI by:
1. Contrast enhancement
2. Smooth margins
3. Restricted diffusion
4. CSF signal on FLAIR

Correct answer: 3. Restricted diffusion

Explanation: C i.e. Restricted diffusion Epidermoids can be differentiated from arachnoid cyst characteristically by hyper-intense diffusion weighted images because of restricted diffusion of epidermoid cystQ. FLAIR and proton images are less specific than DWI.